Lung functions in Emphysema reveal all of the following , Except
1. Decreased vital capacity
2. Increased diffusion capacity for carbon monoxide (DLCO)
3. Increased Total Lung capacity
4. Decreased FEV

Correct answer: 2. Increased diffusion capacity for carbon monoxide (DLCO)

Explanation: Answer is B (Increased diffusion capacity for carbon monoxide (DLCO)): Emphysema is associated with a decreased diffusion capacity for carbon monoxide Lung Function Tests in Emphysema TLC : Normal or Increased FEV : Decreased (< 80% predicted) (Decreased out of proportion to FVC) FVC : Decreased FEV1 / FVC : Decreased (< 0.7) FEF25 - 75 : Decreased ( DLCO : Decreased Note that DLCO is normal in other obstructive lung diseases like chronic bronchitis Diffusion capacity for carbon monoxie (DLCO) Diffusion capacity is altered in disease affecting the functional integrity of the alveolar capillary membrane. In Emphysema, alveolar walls are destroyed, so the surface area of alveolar-capillary bed is diminished resulting in diminished DLCO. Three main disoders are associated with lowerd DLCO Emphyseinae Interstitial Lung Diseasee Pulmonary vascular disease (Recurrent Pulmonary emboli or Primary Pulmonary Hypertension)Q